Which of the following coagulation factor causes cross linking and stabilization of clot?
1. Factor XIII
2. Thrombin
3. Factor VIII
4. Factor IX

Correct answer: 1. Factor XIII

Explanation: Thrombin activates factor XIII (fibrin stabilizing factor) to factor XIIIa, which forms cross links and thereby stabilizes the clot.